Number of roots in maxillary 2nd molar is
1. 2
2. 3
3. 4
4. 5

Correct answer: 2. 3